Full form of ASHA
1. Associate social health activist
2. Accredited social health activist
3. Advanced social health activist
4. Assistant social health activist

Correct answer: 2. Accredited social health activist

Explanation: ASHA: Accredited Social Health Activist